A patient presents with Right homonymous hemianopia. Most likely site of lesion is
1. Left optic radiation
2. Right geniculate body
3. Right optic nerve
4. Right optic radiation

Correct answer: 1. Left optic radiation

Explanation: Ans. (a) Left optic radiationRef: Khurana 6/e, p. 314Just remember - Homonymous is always Contralateral and all in lesions below optic chiasma.